Psychiatric complications of alcohol dependence :
1. Anxiety
2. Suicide
3. Depression
4. All

Correct answer: 4. All

Explanation: A i.e. Anxiety; B i.e. Suicide; C i.e. Depression